First treatment for snake bite is
1. Antisnake venom
2. Immobilise the limb
3. Clean the wound with soap and water
4. Local incision and Suction

Correct answer: 2. Immobilise the limb

Explanation: First aid* Reassurance* Limit systemic spread of venom by immobilizing the affected part (e.g. limb)* A proximal lymphatic-occlusion constriction band may limit the spread of venom if applied within 30 minutes. It should be applied such that it does not prevent arterial flow of blood and the distal pulsation should be appreciatedREF: THE SYNOPSIS OF FORENSIC MEDICINE:KS NARAYANA REDDY; 28th EDITION; PAGE NO 322